Glucose is primarily absorbed from
1. Proximal convoluted tubule
2. Distal convoluted tubule
3. Cortical collecting duct
4. Medullary collecting duct

Correct answer: 1. Proximal convoluted tubule

Explanation: Important educational points


60-70% of glomerular filtrate is reabsorbed in the proximal tubule.


Na+ reabsorption occurs in all segments of nephron excepting descending limb of the loop of Henle. 60% (60- 70%) of filtered Na+ is reabsorbed in the proximal tubule. About 30% of filtered Na+ is reabsorbed in the thick ascending limb of the loop of Henle. About 7% of filtered Na+ is reabsorbed in early distal tubules and about 3% of filtered sodium is reabsorbed in late distal tubule and collecting duct.


About 65% (60-70%) of water is reabsorbed in the proximal tubule and about 15% of water is reabsorbed in the thin descending limb. Remaining 20% of water enters the distal tubules and is absorbed from distal tubule and collecting duct according to the homeostatic requirements of the body, under the control of ADH.


All substances (Na +, K +, HCO3, Cl-, Phosphate, Protein, Glucose, water) are maximally absorbed in the proximal tubule.


Glucose and amino acids are completely absorbed from proximal tubules along with Na + as secondary active transport cotransport (symport).


H + is not absorbed by nephrons anywhere it is only secreted (in the proximal tubule, late distal tubule and cortical collecting tubules). Substances which are both secreted and reabsorbed are K +, uric acid and creatinine.


On a normal diet, maximum solutes are reabsorbed almost completely: Glucose: 100%, Aminoacids 100%, HCO3-: 100%. Water: 99.4%, Na + : 99.4%, Cl-: 99.2%, Uric acid : 98%, K+ : 93.3%, Urea : 53%, and Total solutes : 98.9%


Amount secreted per day of different filtered contents are : Na+ : 150 mEq/d, K + : 90 mEq/d, Cl - : 150 mEq/d, Glucose: 0, Amino acid: 0, HCO3 : 0, Uric acid: 5 mmol/d. Creatinine: 12 mmol/d, Urea: 410 mmol/d, Water: 1-1.5 L/d; and total solutes : 700 mOsm/d